In Pemphigus vulgaris, autoantibodies are formed against which cell adhesion molecule:
1. Selectin
2. Cadherin
3. Integrin
4. IgSF CAM

Correct answer: 2. Cadherin

Explanation: Cadherin.
in Pemphigus vulgaris (Intraepithelial), autoantibodies are formed against Desmosomes(Cadherin) whereas in Bullous pemphigoid(Subepithelial), autoantibodies are formed against Hemidesmosomes